Dye used in IV cholangiography is:
1. Dianosil
2. Conray
3. Billigraffin
4. Myodil

Correct answer: 3. Billigraffin

Explanation: Ans. Billigraffin